Multiple drug resistance is transferred through
1. Transduction
2. Transformation
3. Conjugation
4. Mutation

Correct answer: 3. Conjugation

Explanation: Refer KDT 6/e p 671 Multiple drug resistance is transferred through Pladmids Mostly by conjugation